Platelet adhesion is inhibited by ?
1. Nitric oxide
2. Substance P
3. Thrombin
4. IL 2

Correct answer: 1. Nitric oxide

Explanation: Ans. is 'a' i.e., Nitric Oxide